All of the following agents may be used in the management of Chronic Hypocalcemia, except:
1. Etidronate
2. Thiazides
3. Elemental calcium
4. Vitamin D analogs

Correct answer: 1. Etidronate

Explanation: Answer is A (Etidronate): Etidronate is a first generation bisphosphonate, used for the management of Hypercalcemia (not used fir Hypocalcemia). `Treatment of Hypocalcemia includes Calcium replacement with Vitamin D analogs along with Thiazide diuretics to prevent excess calcium excretion besides replenishing any decreases in magnesium and phosphate restriction'.